Conservative management is contraindicated in a case of placenta previa under the following situations, except:
1. Evidence of fetal distress
2. Fetal malformations
3. Mother in a hemodynamically stable condition
4. Women in labor

Correct answer: 3. Mother in a hemodynamically stable condition

Explanation: Ans. is c, i.e. Mother in a hemodynamically stable conditionRef. Dutta Obs 7/e, p 248, 249; Fernando Arias 3/e, p 342All are contraindications for conservative management except hemodynamically stable condition.